Many of our bad habits of day to day life can be removed by-
1. Positive conditioning
2. Negative conditioning
3. Bio feed back
4. Generalization

Correct answer: 2. Negative conditioning

Explanation: Reinforcement (Positive conditioning) → to promote desired behavior (good habits).
Punishment (Negative conditioning) → to remove undesired behavior (bad habits).